Classification of bony defects are most helpful in
determining the likelihood of repair after periodontal treatment is based on
1. Depth of bone defect
2. Number of bone walls remaining
3. Distance between the facial, lingual walls
4. Distance from the crest of defect to CEJ

Correct answer: 2. Number of bone walls remaining